All of the following are true of D.I.C. except:
1. Platelet aggregation
2. Fibrin deposition in microcirculation
3. Decreased fibrinogen products
4. Release of tissue factor

Correct answer: 3. Decreased fibrinogen products

Explanation: Decreased fibrinogen products